False about Marfan's syndrome
1. Autosomal dominant
2. Mutation in fibrillin 1 gene
3. Inferonasal subluxation of lens
4. All of the above

Correct answer: 3. Inferonasal subluxation of lens

Explanation: Superotemporal subluxation of lens is seen in Marfan's.